"Group on Medical Education and Support Manpower" is popularly known as:
1. Kartar Singh Committee
2. Shrivastav committe
3. Mudaliar committe
4. Bhore committee

Correct answer: 2. Shrivastav committe

Explanation: "Group on Medical Education and Support Manpower" is popularly known as Shrivastav committee ; 1. To devise a suitable curriculum for training a cadre of health assistant . 2. Steps to improove existing medical education process . Ref: Park 21st edition, page 813.